Glass vessels and syringes are best sterilised by -
1. Hot air oven
2. Autoclaving
3. Irradiation
4. Ethylene dioxide

Correct answer: 1. Hot air oven

Explanation: Ans. Is 'a' i.e., Hot air oven Hot air oveno Hot air oven are electrical devices used in sterilization,o The oven uses dry heat to sterilize articles.Hot air oven is used foro Glass wareo Swabso Liquid paraffino Fat and greaseo All glass syringeo Forceps, scissors, scalpelso Dusting powder